Difference between antemortem wounds and postmortem wounds, in favour of AM wounds is/are -a) Are largerb) Increased gaping of woundsc) Increased enzyme activityd) Oozing of blood
1. a
2. c
3. bc
4. ad

Correct answer: 3. bc

Explanation: Gaping and increased enzyme activity due to vital reaction is seen in antemortem wound.